Loud P2 is found in?
1. Pulmonary HTN
2. MS
3. MR
4. Aortic incompetence

Correct answer: 1. Pulmonary HTN

Explanation: Ans. is 'a' i.e., Pulmonary HTN o Causes of Loud P2Pulmonary hypertension unless proved otherwise.Eisenmenger s syndrome due to ASD, VSD, PDA.Multiple pulmonary thrombi.